Formula used for estimation of the total iron requirement is :
1. 4 x body weight (kg) x Hb deficit (g/dl)
2. 4.4 x body weight (kg) x Hb deficit (g/dl)
3. 0.3 x body weight (kg) x Hb deficit (g/dI)
4. 3.3 x body weight (kg) x Hb deficit (g/dl)

Correct answer: 2. 4.4 x body weight (kg) x Hb deficit (g/dl)

Explanation: Ans. is b i.e. 4.4 x body (weight kg) x Hb deficit Total iron requirement is calculated by the following formulae : 4.4 X body weight (kg) X Hb deficit (g/dI) 0.3 x weight (lb) x % of Hb deficit 250mg elemental iron or each gm% of Hb deficit Note : Weight in kg = wt in lb x 2.2